Drainage of CSF from lateral to third ventricle is through:
1. Foramen of munro
2. Foramen of lushka
3. Foramen of magendi
4. Aqueduct of sylvius

Correct answer: 1. Foramen of munro

Explanation: Foramen of munro